Wernicke's korsakoff's syndrome is characterized by all except
1. Ataxia
2. Paralysis of ocular muscles
3. Loss of remote memory
4. Global confusion

Correct answer: 3. Loss of remote memory

Explanation: Wernicke's Korsakoff's syndrome is characterized by triad of symptoms.
(Mneumonic GOA)
Global confusion, Ophthalmoplegia & Ataxia. Remote memory is found to be intact.